Giant cell tumor of tendon sheath Is
1. Traumatic
2. Infective
3. Malignant tumor
4. benign tumor

Correct answer: 4. benign tumor

Explanation: Giant cell tumours of tendon sheath are benign tumours, occurs as discrete nodules on a tendon sheath along wrist and fingers. Giant cell tumor of the tendon sheath (GCTTS) is the second most common tumor of the hand after ganglion cysts (1,2). It is a slowly growing, usually painless benign lesion of soft tissues. Robbins basic pathology. 7tyh edition. chapter - joints and soft tissue tumours. Page no 1315. REF IMG answer is option 4.